Aminoglycoside class of drugs causes hearing loss by damaging?
1. Inner hair cells of basal turn
2. Outer hair cells of basal turn
3. Inner hair cells of apical turn
4. Outer hair cells of apical turn

Correct answer: 2. Outer hair cells of basal turn

Explanation: Ans. is 'b' i.e., Outer hair cells of basal turn o Aminoglycosides affect exclusively outer hair cells, particularly of basal coil of cochlea.